HLA marker of bechet's syndrome -
1. HLA-B27
2. HLA-DR5
3. HLA-B51
4. HLA-CW6

Correct answer: 3. HLA-B51

Explanation: Behcet's disease, or Behcet's syndrome, is a rare and poorly understood condition that results in inflammation of the blood vessels and tissues. Confirming a diagnosis of Behcet's disease can be difficult because the symptoms are so wide-ranging and general (they can be shared with a number of other conditions)The main symptoms of Behcet's disease include: genital and mouth ulcers red, painful eyes and blurred vision acne-like spots headaches painful, stiff and swollen joints In severe cases, there's also a risk of serious and potentially life-threatening problems, such as permanent vision loss and strokes. Most people with the condition experience episodes where their symptoms are severe (flare-ups or relapses), followed by periods where the symptoms disappear (remission). Over time, some of the symptoms can settle down and become less troublesome, although they may never resolve completely.HLA-B51 (B51) is an HLA-B serotype. The serotype identifies the more common HLA-B*51 gene products. B51 is a split antigen of the broad antigen B5, and is a sister serotype of B52. There are a large number of alleles within the B*51 allele group. B51 is associated with several diseases, including Behcet's disease.